Function of I cells of kidney -
1. Na+ reabsorption
2. Cl- reabsorption
3. H+ secretion
4. K+ secretion

Correct answer: 3. H+ secretion

Explanation: Ans. is'c'i.e., H+ secretionCollecting duct has :-Principal cells (P cells), which are involved in Na+ reabsorption and ADH stimulated water reabsorption.Intercalated cells (I cells) which are concerned with acid (H.) secretion and HCO transPo